In colour perimetry the smallest field of vision is with:
1. Green object
2. Blue object
3. Yellow object
4. Red object

Correct answer: 1. Green object

Explanation: Ans. Green object